Suggilation means
1. Postmortem calorcity
2. Rigor mortis
3. Algor mortis
4. Postmortem staining

Correct answer: 4. Postmortem staining

Explanation: Synonyms of livor mortis: Lividity Hypostasis Vibices Cadaveric lividity Suggillation